Which of the following is not true according to WHO 2010 for normal semen analysis:
1. Sperm count > or equal to 15 million/ml
2. Volume > 1ml
3. Sperm with normal morphology (strict criteria) > or equal to 4%
4. Motility > or equal to 32% with progressive motility

Correct answer: 2. Volume > 1ml

Explanation: Normal Semen Analysis : WHO 2010 volume : more than or equal to 1.5ml sperm concentration : more than or equal to 15 million/ml sperm motility : more than equal to 32% progressive motility morphology (strict criteria) : more than or equal to 4% normal forms white blood cells : < 1 million/ml Immunobead test or mixed antiglobulin reaction test < 50% Refernce: Novak Text book of Gynaecology 15th edition page 1141 Image Reference: DC Dutta's Tetbook of Gynecology 7th edition page 190